Medial boundary of Cubital fossa is
1. Brachioradialis
2. Pronator teres
3. Supinator
4. Brachialis

Correct answer: 2. Pronator teres

Explanation: CUBITAL FOSSA:-Triangular hollow in front of the elbow. Boundaries:-1. Lateral:- medial border of brachioradialis.2. Medial: lateral border of pronator teres.3. Base: imaginary horizontal line joining two epicondyles of the humerus.4. Apex: It is directed downwards, and is formed by the area where brachioradialis crosses the pronator teres muscle.5. Floor: brachialis (upper part) Contents: medial to lateral 1. Median nerve 2. Brachial artery.3. Biceps tendon.4. Radial nerve. mnemonic: MBBR Brachial pulse- recording BPMedial cubital vein- collect blood samples & iv injection. REF: BD Chaurasia 7th edition page no: 97.